Ideal site for myringotomy and grommet insertion:
1. Anterior superior quadrant
2. Anterior inferior quadrant
3. Posterior superior quadrant
4. Posterior inferior quadrant

Correct answer: 2. Anterior inferior quadrant

Explanation: Placement antero-inferiorly compared with placement postero-inferiorly lengthens the time a ventilation tube is in situ. To maximise the duration of potential tube function, the preferred insertion site is anteroinferior through a circmferential or radial incision.